Which of the following antimicrobial agent can result in ototoxicty, nephrotoxicity and redneck syndrome?
1. Methicillin
2. Vancomycin
3. Tetracycline
4. Chloramphenicol

Correct answer: 2. Vancomycin

Explanation: Ref: Katzung, 14th ed. pg. 809; Sharma & Sharma 3rd ed. P 742-43; KDT 6th ed. pg. 732* Vancomycin is a bactericidal drug acts by cell wall synthesis inhibitor and by damaging cell membrane integrity.* It is exclusively active against aerobic as well as anaerobic gram positive species such as streptococcus and staphylococci including MRSA.* Parenterally it is DOC in MRSA, Staph epideermidis infection associated with use of IV catheters or with contibuous peritoneal dialysis.* Orallyitisalsoeffectiveincontrollingpseudomembranous colitis not responding to metronidazole (act as local because it is poorly absorbed from GIT).* Side effects:# Red neck syndrome (due to histamine release)# Ototoxicity, nephrotoxicity, skin rash, reversible neutropenia etc.